Which of the following is an indication of enucleation?
1. Treatment of odontogenic keratocyst
2. Recurrence of cystic lesions of any cyst type
3. Large cyst to avoid pathological fracture of jaw
4. Both 1 and 2

Correct answer: 4. Both 1 and 2

Explanation: Enucleation
→ Recommended treatment of choice.
→ Enucleation allows for the cystic cavity to be covered by a mucoperiosteal flap and the space fills with blood clot, which will eventually organize and form normal bone.
Indications:
→ For the treatment of odontogenic keratocysts.
→ Recurrence of cystic lesions of any cyst type.
Advantages:
→ Primary closure of the wound.
→ Healing is rapid.
→ Postoperative care reduced.
→ Thorough examination of entire cystic lining can be done.
Disadvantages:
→ Adjacent vital structure can be damaged.
→ Necrosis of the pulp.
→ Mandible will become weak, due to larger cyst removal, making it prone to jaw fracture.
→ Unerupted teeth in dentigerous cyst will be removed, with lesion in young persons.